All of the following statements about mitral valve prolapse are true except:
1. It is more common in females
2. Most patients are symptomatic
3. It has a benign clinical course
4. Transient cerebral ischemic is a know complication

Correct answer: 2. Most patients are symptomatic

Explanation: Answer is B (Most patients are symptomatic) Most patients are asymptomatic and remain so for their entire lives